The following are applicable to bacterial genome except:
1. It is composed of DNA
2. It does not contain histones
3. It is circular
4. Its DNA has both introns and extrons

Correct answer: 4. Its DNA has both introns and extrons